In which of the mentioned segments of a nephron, Na+ reabsorption primarily occurs by the Na+-H+ exchange?
1. PCT
2. loop of Henle
3. DCT
4. Collecting duct

Correct answer: 1. PCT

Explanation: In the PCT, the apical membrane has Na+/H+-antiporter, which couples H+ secretion with the Na+ movement across the apical membrane. In the TAL of loop of Henle:- The symporter NKCC moves 1 Na+, 1 K+, 2 Cl- through the apical membrane into the cell. In DCT:- The symporter is NCC. In the late distal tubule and collecting duct:- Na+diffuses across the apical membrane through the epithelial Na+ channel (ENaC).